HRCT is investigation of choice for diagnosing all of the following conditions, EXCEPT:
1. Sarcoidosis
2. Miliary tuberculosis
3. Interstitial fibrosis
4. Pulmonary artery aneurysm

Correct answer: 4. Pulmonary artery aneurysm

Explanation: CT/MRI arteriography is used for investigation of pulmonary artery aneurysms. HRCT findings in Sarcoidosis: Common findings are: Small nodules in a perilymphatic distribution (i.e. along subpleural surface and fissures, along interlobular septa and the peribronchovascular bundle). Upper and middle zone predominance. Lymphadenopathy in left hilus, right hilus and paratracheal (1-2-3 sign). Often with calcifications. HRCT findings in Miliary TB: It is characterized by uniform small nodules (2-3 mm) with a random distribution. Characteristic high-resolution CT (HRCT) findings of idiopathic pulmonary fibrosis (IPF) includes reticulation, architectural distortion, and honeycombing involving mainly the lung periphery and the lower lobes.